Medullary cystic disease of the kidney is best diagnosed by:
1. Ultrasound
2. Nuclear scan
3. Urography
4. Biopsy

Correct answer: 4. Biopsy

Explanation: Answer is D (Biopsy): Although ultrasonography and CT scan can be useful in making a diagnosis of medullary cystic disease, an open renal biopsy that ensures recovery of tissue from the corticomedullary junction is definitive.